Block vertebrae are seen in -
1. Pagets disease
2. Leukemia
3. TB
4. Klippel - Feil syndrom

Correct answer: 4. Klippel - Feil syndrom

Explanation: Features of Klippel Feil syndrome: Fused/block vertebra. hemivertebra spina bifida occulta scoliosis atlas occipitalization associated with sprengel's deformity Also know Klippel Trenaunay syndrome : * Klippel-Trenaunay syndrome presents with a classic triad of hemi-hypertrophy, port wine stain, and congenital venous or venolymphatic malformations. * This entity should be distinguished from Parkes-Weber syndrome, which is similar, but features formation of arteriovenous malformations (leading to high output cardiac failure) and no lymphatic malformations.